Investigation of choice in an unstable patient with suspected intraabdominal injury is
1. DPL
2. USG
3. CT scan
4. X-ray abdomen

Correct answer: 2. USG

Explanation: The investigation of choice in an unstable patient with suspected intraabdominal injury is ultrasound. Focused abdominal sonar for trauma(FAST) is a technique whereby ultrasound(sonar) imaging is used to assess the torso for the presence of free fluid, either in the abdominal cavity, and is extended into the thoracic cavities and pericardium(eFAST). eFAST is accurate at detecting <100ml of free blood. CT is the gold standard for the intr-abdominal diagnosis of injury in the stable patient. Reference: Bailey & love, 27th Edition, page no = 372.